Sickle cell disease is present with which mutation:
1. Cross-linked defect
2. Base pair defect
3. Mismatch defect
4. Base pair substitution

Correct answer: 4. Base pair substitution

Explanation: Ans. (d) Base pair substitutionRef: Harper's Biochemistry, 30th ed. pg. 416-17A partial missense mutation (type of base pair substitution) glutamic acid, the normal amino acid in position 6 of the b chain, has been replaced by valine.